Diagnostic test for pulmonary embolism:
1. Ventilation lung scanning.
2. Pulmonary lung scanning.
3. Pulmonary angiography.
4. Die test

Correct answer: 3. Pulmonary angiography.

Explanation: CT scan with intravenous contrast i.e., multidetector CT angiography is the test of choice for diagnosis of pulmonary embolism.